Which is not true about cystic hygroma
1. Aspiration is diagnostic
2. About 50% of them are present at birth
3. Presents as posterior cervical swelling
4. Sequestration of lymphatic tissue

Correct answer: 1. Aspiration is diagnostic

Explanation: Cystic hygroma Cystic hygroma is a swelling usually occurring in the lower third of the neck It is most commonly seen in the posterior triangle of the neck, but may also occur in axilla, groin & mediastinum It results due to sequestration of a portion of the jugular lymph sac from the lymphatic system. It usually manifests in the neonate or in early infancy (occasionally present at birth) The swelling is soft and partially compressible and invariably increases in size when the child coughs or cries. The characteristic that distinguishes it from all other neck swellings is that it is brilliantly translucent. The cysts are filled with clear lymph and are lined by endothelium. Mostly these are multiple cysts but occasionally they can be unilocular. It may show spontaneous regression. "Roughly 50% to 65% of hygromas prsent at birth, with most becoming apparent by the second year of life." Ref : Sabiston 18/e p2052